Apollo conjunctivitis is caused by
1. Chlamydia
2. Enterovirus
3. Allergy
4. Contact lens

Correct answer: 2. Enterovirus

Explanation: Apollo conjunctivitis is another name of acute hemorrhagic conjunctivitis (Named after Apollo mission- discovered in 1969) Acute Hemorrhagic conjunctivitis * MC Causative organism: Picornavirus enterovirus ( enterovirus 70) * Acute multiple conjunctival hemorrhages * Hyperemia * Follicular hyperplasia * Apollo conjunctivitis * Short incubation period * Self limiting& Highly contagious